Height independent obesity index:
1. Corpulence index
2. Quetlet index
3. Brocca index
4. Ponderal index

Correct answer: 1. Corpulence index

Explanation: - So, Corpulence Index is "Height independent " index of obesity; cutoff <= 1.2. Other indices depend on height: Broca's index =Ht -100